Clinical features of complicated cataract are all, EXCEPT
1. Polychromatic luster
2. Axial spread of opacity
3. Opacity along sutures
4. Posterior subcapsular opacity

Correct answer: 3. Opacity along sutures

Explanation: C i.e. Opacity along sutures Complicated Cataract It may be posterior cortical (in pathology of posterior segment) or anterior cortical (in pathology of anterior segment) Opacity usually commence in posterior cortex and spread axially Q Bread crumbs appearance Q Polychromatic lusture Q Vision is much impaired even in early stage, owing to the position of the opacity near the nodal point of the eye.